Upper 4 resembles 5 from which aspect?
1. Mesially
2. Lingually
3. Occlusal
4. Distally

Correct answer: 2. Lingually